Glomerular filtrate contains all except
1. HCO3
2. Albumin
3. Glucose
4. Sodium

Correct answer: 2. Albumin

Explanation: Generally proteins like albumin are not excreted unless in conditions like Nephrotic syndrome. Ref: guyton and hall textbook of medical physiology 12 edition page number:465,466,467